Percentage of inorganic component in cementum is:
1. 30%
2. 40-50%
3. 50-55%
4. 20-30%

Correct answer: 2. 40-50%